The pharmacokinetic properties of a new drug are being studied in normal volunteers during phase I clinical trials. The volume of distribution and clearance determined in the first subject are 40 L and 2.0 L/hour, respectively. The half-life of the drug in this subject is approximately?
1. 2
2. 6
3. 14
4. 21

Correct answer: 3. 14

Explanation: The half-life of a drug can be determined using the following equation: t1/2 = (0.693 x Vd)/Cl =0.693 X 40/2 = 13.86 ~14. Ref: Buxton I.L., Benet L.Z. (2011). Chapter 2. Pharmacokinetics: The Dynamics of Drug Absorption, Distribution, Metabolism, and Elimination. In L.L. Brunton, B.A. Chabner, B.C. Knollmann (Eds), Goodman & Gilman's The Pharmacological Basis of Therapeutics, 12e.